Which of the following is a radiology finding of Epidermoid cyst
1. Low single on diffusion weighted MRI
2. High single on diffusion weighted MRI
3. High single on Flair MRI
4. High single on Stir MRI

Correct answer: 2. High single on diffusion weighted MRI

Explanation: High single on diffusion weighted MRI - Epidermoid cyst.